Which of the following is not an example of immune complex disease?
1. SLE
2. Arthus reaction
3. Contact dermatitis
4. Post streptococcal glomerulonephritis

Correct answer: 3. Contact dermatitis

Explanation: Immune Complex-Mediated Diseases DISEASE ANTIGEN INVOLVED MANIFESTATIONS 1.Systemic lupus erythematosus Nuclear antigens (circulating or "planted" in kidney) Nephritis, skin lesions, arthritis, others 2.Poststreptococcal glomerulonephritis is Streptococcal cell wall antigen(s); may be "planted" in glomerular basement membrane Nephritis 3.Polyarteritis nodosa Hepatitis B virus antigens in some cases Systemic vasculitis 4.Reactive arthritis Bacterial antigens (e.g., Yersinia) Acute arthritis 5.Serum sickness Various proteins (e.g., foreign serum protein) (horse anti-thymocyte globulin) Arthritis, vasculitis, nephritis 6.Arthus reaction (experimental) Various foreign proteins Cutaneous vasculitis